Ethosuxamide is the drug of choice for -
1. Generalized tonic clonic seizures
2. Complex partial seizures
3. Absence seizures
4. Myoclonic seizures

Correct answer: 3. Absence seizures

Explanation: Ans. is 'c' i.e., Absence seizures o Now, valproate is considered as the drug of choice of absence seizures. o However, Ethosoxamide is the only other first line drug for absence seizures and the only indication for ethosuxamide is absence seizure.